According to Bennett's classification, abnormal formation of a part or whole of either arch due to developmental defects of bone is:
1. Class 1
2. Class 2
3. Class 3
4. Class 4

Correct answer: 2. Class 2

Explanation: Bennett's Classification